In random sampling, the chance of being picked up is -
1. Same and known
2. Not same and not known
3. Same and not known
4. Not same but known

Correct answer: 1. Same and known